Active drug transport true is all except ?
1. Energy dependent
2. Make use of specific transporter protein
3. Carrier transport is nonsaturable
4. Carries the drug against the concentration gradient

Correct answer: 3. Carrier transport is nonsaturable

Explanation: Ans. is 'c' i.e., Carrier transport is nonsaturable Active transport As the name suggests active transport is active pumping of drug molecules through a membrane against concentration gradient by a molecular pump (carrier mediated), which requires energy to function. So, active transport has following characteristics: Movement is against concentration gradient A molecular pump (carrier protein) is required. Energy is required.